Spermine is detected by:
1. Takayama test
2. Barberio's test
3. Florence test
4. Acid phosphatase test

Correct answer: 2. Barberio's test

Explanation: Ans. Barberio's test